Which bone tumour arises from the epiphysis -
1. Osteogenic sarcoma
2. Ewing sarcoma
3. Osteoclastoma
4. Osteoma

Correct answer: 3. Osteoclastoma

Explanation: Epiphyseal tumors 

Chondroblastoma
Giant cell tumor (osteoclastorna)
Clear cell chondrosaroma